Alopecia, Hyper pigmentation, Hypogonadism characteristic for deficiency of
1. Zinc
2. Magnesium
3. Selenium
4. Copper

Correct answer: 1. Zinc

Explanation: The essential feature of Zinc deficiency.
 
A distinctive rash most often around the eyes, nose, mouth, anus and distal parts called
 
Acrodermatitis Enteropathica.
 
Growth retardation in children.
 
Impaired wound healing
 
Hypogonadism with diminished reproductive capacity.
 
Anorexia often accompanied by diarrhoea
 
Depressed mental function.
 
Other important disease
 
Selenium deficiency causes Keshan disease. Copper deficiency causes Menke's disease.